All are true about dengue fever, except:
1. Most common arboviral disease
2. Its both endemic and epidemic
3. Unaffected by ambient temperature
4. Self limiting

Correct answer: 3. Unaffected by ambient temperature

Explanation: Dengue can occur in epidemic and also as endemic. Mosquitoes kept at 260 C fail to transmit the DEN-2 virus so low incidence in certain seasons explained. Ref: Park, 20th Edition, Pages 220-21